True regarding Japanese encephalitis are all the following EXCEPT?
1. Children < 5 years age are most commonly affected
2. Transmitted by Culex tritaeniorhynchus
3. Permanent neurologic or psychiatric sequelae
4. Vaccine available in India

Correct answer: 1. Children < 5 years age are most commonly affected

Explanation: Japanese encephalitis- Most common age group of children affected: 5-15 years Vector is Culex tritaeniorhynchus Permanent neurologic or psychiatric sequelae are seen Vaccine against Japanese encephalitis is available in India.